All are features of hemolytic anaemia except:
1. Thrombocytopenia
2. Hemosiderinuria
3. Decreased haptoglobin
4. Raised indirect bilirubin

Correct answer: 1. Thrombocytopenia

Explanation: Answer is A (Thrombocytopenia) Thrombocytopenia is not a feature of hemolytic anemia. Decreased levels of serum haptaglobins, hemosidinuria and raised levels of indirect bilirubin are recognized feature of hemolytic anemias.